Uterine rupture is least common with:
1. LSCS
2. Classical section
3. Inverted T-shaped incision
4. T-shaped incision

Correct answer: 1. LSCS

Explanation: Chances of scar rupture is less with an LSCS scar compared to classical scar ,inverted T shaped or T shaped incision. There is only 0.5% - 2% chance of rupture in LSCS compared to 4-8% chance in classical scar rupture. It is mainly due to better apposition and better healing of lower segment in puerperium compared to an upper segment scar which has less healing chances due to frequentcontraction and retraction. (Sheila TB of obstetrics 2nd edition pg 338)